False statement about common bile duct
1. Lies in free margin of lesser omentum
2. Anterior to first part of duodenum
3. Right to hepatic artery
4. Anterior to portal vein

Correct answer: 2. Anterior to first part of duodenum

Explanation: Bile duct : Anatomy It lies in front of the portal vein and to the right of the hepatic artery Common hepatic duct is 1-4cm in length and has a diameter of approx. 4mm CBD is about 7-11 cm in length and 5-10 mm in diameter A fibroareolar tissue containing scant smooth muscle surround the mucosa (a distinct muscle layer is absent) Most important arteries to the Supra duodenal bile duct run parallel to the duct at the 3 & 9'o clock position Approximately 60% of the blood supply to the Supra duodenal bile duct originates inferiorly from the pancreaticoduodenal and retro duodenal arteries Whereas 38% of blood supply originate superiorly from the right hepatic atmeru and cystic duct artery Ref: Sabiston 20th edition Pgno : 1482-1484